High air flow oxygen enriched devices
1. Are variable performance devices
2. Deliver constant concentrations of oxygen
3. Require oxygen entrainment
4. Require closed face masks.

Correct answer: 2. Deliver constant concentrations of oxygen

Explanation: High air flow oxygen enriched devices are fixed performance devices and deliver constant concentration of oxygen. They require face masks with holes to enable high volumes of air to entrained.